Post transcriptional modification include all except:
1. 5' capping
2. 3' polyadenylation
3. Splicing
4. Glycosylation

Correct answer: 4. Glycosylation

Explanation: Glycosylation is a post translational modification, not a post transcriptional modification. Post Translational Modifications Post Transcriptional Modifications Phosphorylation Capping at 5'end Glycosylation (most frequent) Removal of Introns/ Splicing Hydroxylation Tailing at 3'end Acetylation Vit K Dependent Carboxylation of Glutamate Biotin covalently bound to Carboxylases